Type II hypersensitivity-
1. Blood transfusion reaction
2. Arthus reaction
3. Hay Fever
4. Glomerulonephritis

Correct answer: 1. Blood transfusion reaction

Explanation: Ans. is 'a' i.e., Blood transfusion reaction